The genetic variation in drug metabolism pathway that results in severe toxicity of fluorouracil is:
1. CYP2C9
2. Dihydropyrimidine dehydrogenase
3. Thiopurine-S methyltransferase
4. CYP2D6

Correct answer: 2. Dihydropyrimidine dehydrogenase

Explanation: Genetic variation in drug metabolism pathway dihydropyrimidine dehydrogenase results in severe toxicity of capecitabine, fluorouracil. Ref: Harrison, Edition-18, Page-42.